Most common bone fractured during birth
1. Scapula
2. Humerus
3. Clavicle
4. Radius

Correct answer: 3. Clavicle

Explanation: Bones may be broken (fractured) during a difficult delivery. A fracture of the collarbone (clavicle) is most common. The upper arm bone (humerus) or upper leg bone (femur) may break during a difficult delivery. However, arm or leg fractures are very unusual. A fractured bone in a newborn is kept from moving as much as possible by use of a sling or cast. Fractures in newborns almost always heal completely and rapidly. Fracture of one of the bones of the skull may occur. Skull fractures are very rare. Unless the fracture forms an indentation (depressed fracture), it heals rapidly without treatment.